A 73-year-old man has an inferior infarct with ST elevation documented on right-sided precordial leads. He is hypotensive (blood pressure 90/70 mm Hg) and tachycardic. The JVP is 10 cm, the heart sounds are normal, lungs are clear, and his extremities are cool. What would central hemodynamic monitoring reveal?For the above patient, select the hemodynamic parameters that are most likely to apply.
1. decreased right atrial pressure (RAP), low cardiac output (CO), and increased systemic vascular resistance (SVR)
2. increased RAP, decreased CO, increased SVR
3. increased RAP, decreased CO, decreased SVR
4. decreased RAP, increased CO, decreased SVR

Correct answer: 2. increased RAP, decreased CO, increased SVR

Explanation: This man has a right ventricular MI. Primary right ventricular failure is characterized by a disproportionately high right atrial pressure with normal or high wedge pressure. The cardiac output is usually low and systemic vascular resistance is usually normal or increased.